Which of the following is seen in Marasmus and not in Kwashiorkor -
1. Vocarious appetite
2. Fatty change in liver
3. Hypoalbuminem ia
4. Edema

Correct answer: 1. Vocarious appetite

Explanation: Ans. is 'a' i.e., Vocarious appetite Features Incidence Stage in PEM Activity Muscle wasting Fat wasting Edema Weight for height Appetitite Skin changes Hair changes Anemia Hepatomegaly Liver biopsy Infection Serum albumin Insulin level Others Recovery Mortality Marasmus More common Compensated phase Active Obvious Severe loss of subcutaneous fat None Very low Vocarious (good) appetite None None Uncommon Absent Normal or atrophic Less prone Normal or slightly decreased Normal Monkey facies Baggy pant appearance Early Less than kwashiorkor Kwashiorkor Less common Uncompensated phase Apathic Sometimes hidden by edema and fat Fat often retained but not firm Present Low but may be masked by edema Poor Diffuse pigmentations, flaky paint dermatosis Sparse, silky, easily pulled out Common Present Fatty changes More prone Low (<3g/100 ml) Low Sugar baby appearance Flag sign of hair Long time High in early stage